Which of the following anesthetic is safe in heart failure
1. Etomidate
2. Propofol
3. Thiopentone
4. Ketamine

Correct answer: 1. Etomidate

Explanation: Etomidate has proven useful in patients with valvular or ischemic heart disease who are undergoing noncardiac surgical procedures and in patients with poor cardiac function. The hemodynamic stability seen with etomidate is caused by its lack of effect on the sympathetic nervous system and on the function of the baroreceptor. In multiple studies, etomidate has been used for induction in patients with a compromised cardiovascular system who are undergoing coronary artery bypass surgery or valve surgery, as well as in patients requiring induction of general anesthesia for percutaneous transluminal coronary angioplasty, aortic aneurysm repair, and thoracic surgery. For cardioversion, the rapid onset, quick recovery, and maintenance of arterial blood pressure in these sometimes hemodynamically tenuous patients, combined with continued spontaneous respiration, make etomidate an acceptable choice. Ref: Miller's anesthesia 8th edition Ref: Morgan & Mikhail's clinical anesthesiology 6e